All of the following are ultrasonographic fetal growth parameters except:
1. Head circumference
2. Trans cerebellar diameter
3. Femur length
4. Biparietal diameter

Correct answer: 2. Trans cerebellar diameter

Explanation: Ans. B. Trans cerebellar diametera. Ultrasound imaging: Standard morphometric measurements are as under: Fetal crown-rump length (in first trimester); Biparietal diameter; Head circumference.b. Abdominal circumference; Femur length; and Total intrauterine volume.